Simple mastoidectomy is done in -a) Acute mastoiditisb) Cholesteatomac) Coalescent mastoiditisd) Localized chronic otitis media
1. a
2. bc
3. ac
4. b

Correct answer: 3. ac

Explanation: Simple mastoidectomy is used in acute coalescent mastoiditis.